Which of the following drugs cause oligospermia ?
1. Leflunomide
2. D - Penicillamine
3. Methotrexate
4. Sulfasalazine

Correct answer: 4. Sulfasalazine

Explanation: Sulfasalazine can cause a reversible infertility in males owing to changes in sperm number and morphology.